Framingham heart study is?
1. Case-control study
2. Cohort study
3. Cross-sectional study
4. None

Correct answer: 2. Cohort study

Explanation: Ans. is b i.e., Cohort study Example of cohort sutdies 1) Framingham heart study is a classical example of cohort sutdy. 2) Smoking and lung cancer study. 3) Oral contraceptives and health study.